Number of sperms required for fertilization per oocyte in invitro fertilization is
1. 100
2. 1000
3. 10000
4. 100000

Correct answer: 4. 100000

Explanation: 100000 sperms per oocyte is required for IVF.